Anemia with reticulocytosis is seen in -
1. Hemolysis
2. Iron deficiency anemia
3. Vitamin B12 deficiency
4. Aplastic anemia

Correct answer: 1. Hemolysis

Explanation: Ans. is 'a' i.e., Hemolysis Reticulocytosis (Increased RBC production)Reticulocytopenia (Decreased RBC production)CriteriaReticulocyte index > 3%Reticulocyte count > 1.5%CriteriaReticulocyte index < 1%Reticulocyte count < 0.5%Conditionso Acute blood loss or hemorrhageo Postsplenectomyo Microangiopathic anemiao Autoimmune hemolytic anemiao Hemoglobulinopathy (Sickle cell anemia and thalassemia)o Post anemia treatment like folatesupplementation, iron supplementation & vitamin B12, supplementationConditionso Aplastic anemiao Bone marrow infiltrationo Bone marrow suppression (Sepsis/chemotherapy radiotherapy)o Blood transfusiono Liver diseaseo Disordered RBC maturation (iron, B12, folate deficiency, hypothyroidism, sideroblastic anemia or anemia of chronic disease)